Ovarian artery is a branch of :
1. Abdominal aorta
2. Anterior iliac artery
3. Common iliac artery
4. Posterior iliac artery

Correct answer: 1. Abdominal aorta

Explanation: A. i.e. Abdominal aorta